Clomiphene is -
1. Antiprogestin
2. Antiestrogen
3. Antiandrogen
4. Antidiabetecs

Correct answer: 2. Antiestrogen

Explanation: Ans. is 'b' i.e., Antiestrogen o It acts as a pure estrogen antagonist in all human tissues.